Reversible cause of dementia
1. Hypothyroidism
2. Alzheimer's disease
3. None
4. Vitamin A deficieny

Correct answer: 1. Hypothyroidism

Explanation: A i.e (Hypothyroidism)